Recurrent epistaxis is not a common feature of -
1. DNS
2. Atrophic rhinitis
3. Nasal polyps
4. Maxillary carcinoma

Correct answer: 3. Nasal polyps